Not implicated in congenital transmission is:
1. Hepatitis A
2. Toxoplasmosis
3. Herpes
4. Syphilis

Correct answer: 1. Hepatitis A

Explanation: Hepatitis A is transmitted by feco-oral route. vertical transmission is not seen.